Which of the following features can be noted on postmortem examination of a person died to drowning
1. Washer woman's hand
2. Cadaveric spasm
3. Paltauf's hemorrhages
4. All of the above

Correct answer: 4. All of the above

Explanation: All the three options are correct.